All are macular function tests except -
1. Colour Vision
2. Visual acuity
3. Entoptic phenomeon
4. Scanning laser polarimetry

Correct answer: 4. Scanning laser polarimetry

Explanation: Scanning laser polarimetry ( Scanning laser polarimetry) is for evaluation of Nerve fibre layer. Macular Function Tests Others are-MADDOX ROD TEST, ERG, VEP, LASER INTERFEROMETRY, POTENTIAL VISUAL ACUITY METER TEST MADDOX ROD